A patient with pain in eyes, pain in micturation, joint pain after a holiday trip most probably has:
1. SLE
2. Behcets disease
3. Rieters disease
4. Scleroderma

Correct answer: 3. Rieters disease

Explanation: Rieters disease